Hand,foot and mouth disease is caused by:
1. Enterovirus 70
2. Enterovirus 71
3. Enterovirus 72
4. Enterovirus 68

Correct answer: 2. Enterovirus 71

Explanation: Hand, foot and mouth disease is caused by Enterovirus 71. These viruses can spread from person-to-person through direct contact with unwashed hands or surfaces contaminated with feces. Diseases caused by Enterovirus:- Enterovirus 68 causes Pneumonia & Bronchitis.- Enterovirus 70 causes Acute Hemorrhagic conjunctivitis.- Enterovirus 71 causes Hand, foot and mouth disease.- Enterovirus 72 causes Hepatitis A infection. Note: Epidemic keratoconjunctivitis (EKC) is caused by adenoviruses.